Most faceted gallstones are formed in the
1. Liver
2. Gall bladder
3. Common in bile duct
4. Spiral valves of Heister

Correct answer: 2. Gall bladder

Explanation: (B) Gall bladder # Pigment stones are seen in patients with haemolysis in which bilirubin production is increased.> Examples are hereditary spherocytosis, sickle cell anaemia, thalassaemia, malaria and mechanical destruction of red cells by prosthetic heart valves.> Pigment stones are found in the ducts of patients with benign and malignant bile duct strictures.> Pigment stones in Oriental countries are associated with infestations of the biliary tree by Clonorchis sinensis and Ascaris lumbricoides.> Escherichia coli is often found in the bile of these patients. This bacterium produces the enzyme t3-glucuronidase which converts the bilirubin into its unconjugated insoluble form.> These stones are often present throughout the biliary tree including the intrahepatic ducts.